Reverse transcriptase polymerase chain reactions can aid in diagnosis of all of the following viral in fections except?
1. Adenovirus
2. Astrovirus
3. Rotavirus
4. Poliovirus

Correct answer: 1. Adenovirus

Explanation: In adenovirus PCR based tests have been used for detection of viral DNA. REF:ANANTHANARAYAN AND PANIKER'S TEXTBOOK OF MICROBIOLOGY 9TH EDITION PAGE NO:482